Which fruit juice helps in preventing UTI :
1. Grape
2. Raspberry
3. Cranberry
4. Orange

Correct answer: 3. Cranberry

Explanation: • Alternatives to antibiotic therapy in the treatment of recurrent cystitis/UTI include intravaginal estriol, lactobacillus vaginal suppositories, and cranberry juice taken orally.
• Cranberry juice is traditionally used for prophylaxis and treatment of UTI.